Diaphragm is also known as-
1. Female condom
2. Duch cap
3. Soluble foam
4. Vaginal sponge

Correct answer: 2. Duch cap

Explanation: park's textbook of preventive and social medicine 23rd edition. *diaphragm is a vaginal barrier it was invented by a German physician in 1882 also known as Dutch cap.diaphragm is a shallow cup made of synthetic rubber